Most common vector of Japanese encephalitis is:
1. Anopheles
2. Culex
3. Ixodes
4. Aedes

Correct answer: 2. Culex

Explanation: b. Culex(Ref: Nelson 20/e p 1627)Culex tritaeniorhynchus summarosus, a nightbiting mosquito that feeds preferentially on large domestic animals & birds but only infrequently on humans, is the principal vector of JE in northern Asia.